Which statement is false:
1. The cells in the centre of the enamel organ are densely packed to form enamel knot.
2. Enamel cord is the vertical extension of enamel navel.
3. The Enamel cord extends to meet the outer enamel epithelium and form enamel septum.
4. None.

Correct answer: 2. Enamel cord is the vertical extension of enamel navel.

Explanation: Enamel Knot: The cells in the center of the enamel organ are densely packed to form enamel knot.
Enamel cord: It is the vertical extension of the enamel knot.
Enamel Septum: The enamel cord extends to meet the outer enamel epithelium and form enamel septum.